Drug of choice for Type 1 Brittle asthma is
1. Subcutaneous salbutamol
2. Subcutaneous terbutaline
3. Subcutaneous adrenaline
4. Subcutaneous mometasone

Correct answer: 2. Subcutaneous terbutaline

Explanation: Brittle asthma is very severe asthma resistant to inhalational Beta 2 agonists. 
DOC for Type1 Brittle Asthma: Subcutaneous Terbutaline.
DOC for Type2 Brittle Asthma: Subcutaneous Adrenaline.